The earliest clinical sign of Vitamin A deficiency is –
1. Conjunctival xerosis
2. Corneal xerosis
3. Bitots spots
4. Kerato malacia

Correct answer: 1. Conjunctival xerosis